Assay for lipid peroxidation is:
1. MTT Assay
2. FOX assay
3. Ame's test
4. Guthrie's test

Correct answer: 2. FOX assay

Explanation: Free radical measurement can be done by : FOX assay - (Ferrous oxidation in Xylenol) Estimation of Dialdehydes (e.g. MDA- Malon dialdehyde) Pentane and methane measurement in exhaled air